A 12-year-old girl with leukemia develops a lower respiratory tract infection with hemoptysis that is shown to be due to right-sided bronchiectasis. In addition to treatment for the underlying leukemia, the patient should receive which of the following?
1. Undergo right pneumonectomy
2. Receive selective antibiotics, physiotherapy, and bronchodilator therapy
3. Undergo tracheostomy
4. Have cough-suppressant medication

Correct answer: 2. Receive selective antibiotics, physiotherapy, and bronchodilator therapy

Explanation: Bronchiectasis is caused by a congenital or acquired dilation of the segmental, subsegmental, or branches of the bronchi. Patients with B lymphocyte disorders are more likely to develop lower respiratory tract infection and bronchiectasis than those with impaired T-cell immunity. Treatment is aimed at obtaining maximal drainage. Resection may be indicated when the disease is localized and persistent symptoms and complications occur.